All of the following drugs are used for the treatment of congestive heart failure except:
1. Nitroglycerin
2. Spironolactone
3. Nesiritide
4. Trimetazidine

Correct answer: 4. Trimetazidine

Explanation: Trimetazidine is a partial fatty acid oxidation inhibitor used for angina pectoris.